Which is the muscle that draws the scapula forward ?
1. Trapezuis
2. Rhomboides
3. Serratus anterior
4. Levator scapulae

Correct answer: 3. Serratus anterior

Explanation: Serratus anterior protracts the scapula, it acts as a main muscle in reaching and pushing movements. It also helps in raising the arm fully. The muscular digitations of serratus anterior can be seen and felt when the outstretched hand pushes against resistance. In case of paralysis, the lower angle of the scapula stands out prominently, there is projection of scapula also termed as winging of scapula.Must know: Seratus anterior is innervated by the long thoracic nerve also known as nerve of bell.Good to know:Dropped shoulder occurs as a result of paralysis of the trapezius muscle. With paralysis of the trapezius muscle a drop shoulder with rotation of the angle of the scapula towards the midline and restricted abduction of the arm is caused. Trapezius is supplied by accessory nerve.